The major disadvantage of pressure control ventilation(PCV) is-
1. Variable alveolar volume when lung compliance decreases
2. Patient discomfort
3. Barotrauma
4. Controlled peak alveolar pressure

Correct answer: 1. Variable alveolar volume when lung compliance decreases

Explanation: Advantage of PCV- Controlled alveolar pressure Better patient control Less chances of barotraumas / volutrauma